Placenta to fetus glucose is transported by:
1. Endocytosis
2. Active transport
3. Facilitated diffusion
4. Simple diffusion

Correct answer: 3. Facilitated diffusion

Explanation: Ans. C Facilitated diffusionRef. Quantitative Human Physiology; An Introduction, pg. 126-27Since the transport of glucose to placenta is via GLUT, it is called a facilitated transfer of glucose. Simple diffusionFacilitated diffusionEnergyNot requiredNot requiredCarrier moleculeNot involvedInvolvedSaturationNot saturable (No Tm)Saturable (has a Tm)FollowsFick's law of diffusionEnzyme-substrate kinetics of Michaelis mentenExample:O2 and CO2 exchange in alveoliGlucose transport by glucose transporters (GLUT)